All are true regarding staphylococcal toxin except
1. Beta haemolysin shows hot cold phenomenon
2. Mainly endotoxin
3. Enterotoxin causes food poisoning
4. Exfoliative toxin causes Ritter's syndrome

Correct answer: 2. Mainly endotoxin

Explanation: Staphylococcus toxins are: Cytolytic toxins Enterotoxins Exfoliative toxins Cytolytic toxins are four hemolysins and leucocidin: Alpha hemolysins: It is a protein inactivated at 70-degree Celsius and reactivated at 100 degree Celsius Beta-hemolysin shows hot cold phenomenon Gamma hemolysin is composed of two separate proteins Delta hemolysin has a detergent-like effect on the cell membrane of erythrocytes, Leucocytes, macrophages and platelets. Enterotoxin is responsible for manifestations of staphylococcal food poisoning The exfoliative toxin is responsible for staphylococcal scalded skin syndrome(SSSS). The severe form of SSSS is Ritter's disease in newborn and toxic epidermal necrolysis in older patients. Milder forms are pemphigus neonatorum and bullous impetigo. Ref: Textbook of Microbiology; Ananthanarayanan and Panicker; 10th Edition; Page No: 203, 204